Destruction of zona glomerulosa will deplete:
1. Aldosterone
2. Cortisol
3. Testosterone
4. Catecholamines

Correct answer: 1. Aldosterone

Explanation: The zona glomerulosa, a thin layer of cells that lies just  underneath  the  capsule, constitutes about 15 percent of the adrenal cortex. These cells are the only ones in the adrenal gland capable of secreting significant amounts of aldosterone because they contain the enzyme aldosterone synthase, which is necessary for synthesis of aldosterone. The secretion of these cells is controlled mainly by the extracellular fluid concentrations of angiotensin II and potassium, both of which stimulate aldosterone secretion.